Which of the following is a cyanotic heart disease:
1. PDA
2. VSD
3. TOF
4. ASD

Correct answer: 3. TOF

Explanation: CLASSIFICATION OF CONGENITAL HEART DISEASES: Acyanotic heart disease Cyanotic heart disease - VSD - ASD - PDA -TOF -Tricuspid atresia -Pulmonary atresia with intact septum -Transposition of great arteries -TAPVC -Truncus arteriosus -Ebstein anomaly BASED ON PATHOPHYSIOLOGY: